Lithium is used in
1. Bipolar disorder
2. Dythymia
3. Anxiety neurosis
4. OCD

Correct answer: 1. Bipolar disorder

Explanation: lithium was introduced by JOHN F CADE it is used in treatment of MANIA it is a liver friendly drug it has to be used in caution with people with deranged renal parameters if the patient is on lithium, he should be warned about of intake of other meds like NSAIDS, ACE inhibitors , as it may result in toxicity if a patient develops lithium toxicity, the TREATMENT OF CHOICE IS HEMODIALYSIS Until recently, lithium carbonate was the universally preferred treatment for bipolar disorder, especially in the manic phase. With the approval of valproate, aripiprazole, olanzapine, quetiapine, risperidone, and ziprasidone for this indication, a smaller percentage of bipolar patients now receive lithium. Other Applications of lithium Recurrent endogenous depression Schizoaffective disorder, Lithium alone is rarely successful in treating schizophrenia, but adding it to an antipsychotic may salvage an otherwise treatment-resistant patient. As an adjunct to tricyclic antidepressants and SSRIs in patients with unipolar depression who do not respond fully to monotherapy with the antidepressant. Reference : Katzung 12e pg: 516